Duane Retraction Syndrome is most commonly characterised by
1. Deficiency in action of 6th nerve characterized by difficult abduction
2. Weakness of superior oblique
3. Presence of corneal pigmentation
4. Presence of acute increase in intraocular pressure

Correct answer: 1. Deficiency in action of 6th nerve characterized by difficult abduction

Explanation: Answer- A. Deficiency in action of 6th nerve characterized by difficult abductionDuane retraction syndrome represents the most frequent and most prominent congenital (CCDD). cranial dysinnervation d.isorderDuane retraction syndrome is a congenital strabismus that is usually caused by failure of normal development of the abducens nerve (the sixth cranial nerve). There is absence ofthe abducens nerve and fascicle with anomalous innervation of the lateral rectus muscle by the oculomotor nerve.